Under the Prevention of Food Adulteration (PEA) Act, the expected level of iodine in iodized salt at production level is NOT less than -
1. 30 ppm
2. 25 ppm
3. 20 ppm
4. 15 ppm

Correct answer: 1. 30 ppm

Explanation: Ans. is 'a' i.e., 30 ppm